A patient presents with h/o evening halos and occasional headache for some months. His examination shows normal IOP but shallow AC. He is in which stage of glaucoma?
1. Acute
2. Absolute
3. Prodrome
4. Constant instability

Correct answer: 3. Prodrome

Explanation: Five clinical stages are discernable in primary angle closure glaucoma (PACG): Prodromal stage: Patient sees coloured haloes due to high intraocular pressure (IOP) with some obscuration of vision Chronic instability stage: The intermittency of the prodromal stage is replaced by the regularity of attacks. Acute ACG stage: Acute attacks glaucoma Chronic ACG stage: The recurrent attacks of angle closure eventually lead to peripheral anterior synechiae that may permanently block the exit pathways Absolute glaucoma: It is the end result of untreated attacks ACG or chronic ACG. It results in a stony hard, painful, blind eye. Ref: Concise Textbook Of Ophthalmology By Sharma, 2006, Page 118.